Feature of acute fulminant hepatic failure includes-a) Hyperglycemiab) Hepatorenal syndromec) Hypermagnesemiad) Mostly drug inducede) Fetor hepaticus
1. abc
2. ade
3. bde
4. bce

Correct answer: 3. bde